Glutathione is a
1. Dipeptide
2. Polypeptide
3. Tripeptide
4. Oligopeptide

Correct answer: 3. Tripeptide

Explanation: Glutathione is -glutamyl cysteinyl glycine, i.e. glutathione is a tripeptide made up of 3 aminoacyl residues - Glutamate, Cysteine, Glycine Gluta - Glutamate Thi- Sulfur containing (Cysteine) One- Glycine (1 C amino acid) Glutathione is the major intracellular reducing substance/anti-oxidant SH group of glutathione is responsible for its antioxidant function.